A 60- year - old patient presented with several bullous lesions for the last 3 days; each bulla was surrounded by an erythematous halo. There were multiple target lesions. Patient also had oral erosions. The most likely diagnosis is:
1. Chicken pox
2. Herpes simplex
3. Herpes zoster
4. Steven- Johnson syndrome

Correct answer: 4. Steven- Johnson syndrome

Explanation: D. i.e. Steven Johnson syndrome